Exposure of left subclavian artery by supraclavicular approach does NOT require cutting of?
1. Sternocleidomastoid
2. Scalenus anterior
3. Scalenus medius
4. Omohyoid

Correct answer: 3. Scalenus medius

Explanation: Exposure of left subclavian artery by supraclavicular approach require incision of sternomastoid, omohyoid and scalenus anterior muscle. Supraclavicular incision one finger breadth above the clavicle allows excellent exposure of the middle and distal subclavian artery.Right subclavian artery is a branch of the brachiocephalic trunk and begins behind the right sternoclavicular joint. Left subclavian artery is a direct branch of aorta. The subclavian artery is divided into three parts in relation to the anterior scalene muscle: proximal, middle and distal. Proximal subclavian artery gives rise to vertebral, internal thoracic and thyrocervical trunk. Middle subclavian artery contains costocervical trunk and the dorsal scapular artery. Distal subclavian artery has no branches.